In bilateral abductor palsy of vocal cords following is done except -
1. Teflon paste
2. Cordectomy
3. Nerve muscle implant
4. Arytenoidectomy

Correct answer: 1. Teflon paste